Fragmented RBCs, sliced by fibrin bands; seen in intravascular haemolysis are known as
1. Schistocytes
2. Spherocytes
3. Leptocytes
4. Burr cells

Correct answer: 1. Schistocytes

Explanation: Schistocytes: Fragmented RBCs, sliced by fibrin bands; seen in intravascular hemolysis. Burr cells: Irregularly shaped red cells, seen in uremia. Spherocytes: Smaller, spherical cells, appearing more dense, seen in congenital haemolytic anemia or, rarely, in hereditary spherocytosis. Leptocytes (target cells, also called Mexican hat cells): Central staining, a ring of pallor and an outer rim of staining, seen in liver disease, thalassemias, sickle cell disease.